Cephalic Index of 80-85 is seen in:
1. Mongols
2. Chinese
3. European
4. Negroid

Correct answer: 1. Mongols

Explanation: Ans: A (Mongols) Ref: The Essentials of Forensic Medicine and Toxicology by KS Narayan Reddy. 29th edition. 2010. Pg: 54Explanation:Cephalic Index =Maximum breadth of skull Maximum length of skttllx 100The length and breadth are measured by calipers between both parietal eminences, between glabella and external occipital protuberance, and not by measuring tapeThe skull of an Indian is Caucasian with a few Negroid charactersWith skull measurements, race can be determined in 85% = 90% of casesRacial difference in the skullRaceType of SkullCephalic IndexPure AryansAboriginesNegroesDolicocephalic (long headed)70 - 75EuropeansChineseMesati-cephalic (Medium headed)75 - 80MongolianBrachy-cephalic (Short headed)80-85